Which should not be given in Liver failure?
1. Acetozolamide
2. Furosemide
3. Epelerone
4. Spironolactone

Correct answer: 1. Acetozolamide

Explanation: Ref: Katzung 11th p.256 - 258Explanation:* Carbonic anhydrase inhibitor-induced alkalinization of the urine decreases urinary excretion of N114+ (by converting it to rapidly reabsorbed NH3) and may contribute to the development of hyperammonemia and hepatic encephalopathy in patients with cirrhosis.Another carbonic anhydrase inhibitor, sulthiame. is an anticonvulsant under clinical trials in the USA.